A 2-year old male child presents with pellagra like lesions with passage of amino acids in urine. In the family, out of 4 siblings, two are having similar symptoms with two normal siblings and parents are not affected. Most likely diagnosis is:
1. Phenylketonuria
2. Alkaptonuria
3. Maple syrup urine disease
4. Hartnup disease

Correct answer: 4. Hartnup disease

Explanation: Ans. d. Hartnup disease. Hartnup Disease Genetic Defect :A rare autosomal recessive disorder that results in the mutation of a sodium-dependent transport channel of neutral amino acids (ie, tryptophan). Pathophysiology :The neutral amino acid transport channel is present in both the proximal tubule of the nephron and the brush border of the small intestine . If this transport channel is defective, neutral amino acids cannot be absorbed in the intestine or reabsorbed by the kidney after filtration, thereby resulting in a relative deficiency of the neutral amino acids, such as tryptophan . If the body is deficient in tryptophan (a precursor for niacin), symptoms can arise that mimic niacin deficiency (ie, pellagra). Clinical Manifestations Symptoms appear intermittently and tend to decrease with age. Symptoms include a photosensitive dermatitis that affects face, neck, and extensor surfaces of limbs and neurologic signs (headaches; personality disturbances ; photophobia; intellectual disability; cerebellar ataxia ). Lab findings: Renal aminoaciduria ; indoles in the urine. Treatment : Nicotinic acid supplements.